Fascia over the posterior triangle is pierced by:
1. Spinal accessory nerve
2. Suprascapular nerve
3. External jugular vein
4. Internal jugular vein

Correct answer: 3. External jugular vein

Explanation: Ans. C. External jugular veinExternal jugular veina. Posterior triangle boundariesb. In front- posterior border of sternomastoidc. Behind- Anterior border of trapeziusd. Base- Claviclee. Roof- Skin, superficial fascia, platysma and investing layer of deep cervical fasciaf. Investing layer of deep cervical fascia is pierced by branches of cervical plexus and external jugular veins